Nerve damaged due to lunate dislocation (in carpal tunnel.
1. Median & ulnar
2. Median
3. Ulnar
4. Radial

Correct answer: 2. Median

Explanation: Common causes of median nerve palsy in carpal tunnel are carpal tunnel syndrome (most common) and Innate dislocation. REF : Maheshwari book of orthopedics 9th Ed.